Regeneration is replacement of lost tissue by -
1. Surface epithelium
2. Granulation tissue
3. Living tissue of any kind
4. Living tissue of similar kind

Correct answer: 4. Living tissue of similar kind

Explanation: Regeneration. Some tissues are able to replace the damaged components and essentially return to a normal state; this process is called regeneration - repairing by the same type of tissue repair consists of a combination of regeneration and scar formation by the deposition of collagen ref robbins 9th ed page 100